NADPH is generated by the action of
1. Glucose 6 phosphate dehydrogenase
2. Glucose 1 phosphate dehydrogenase
3. Glucose 1.6 diphosphate dehydrogenase
4. All of the above

Correct answer: 1. Glucose 6 phosphate dehydrogenase

Explanation: Glucose 6 phosphate dehydrogenase 

NADPH is produced during HMP shunt by two enzymes:- (i) Glucose-6-phosphate dehydrogenase, and (ii) 6-phosphogluconate dehydrogenase.